Choristoma is -
1. Normal tissue in abnormal site
2. Normal tissue in excess at normal site
3. Abnormal tissue at any site
4. None of the above

Correct answer: 1. Normal tissue in abnormal site